Mutation in which of the following tumour suppressor gene causes carcinoma?
1. p53
2. p51
3. Ro
4. All of the above

Correct answer: 1. p53

Explanation: If the p53 gene is mutated, the protection offered by the p53 tumor suppressor protein against DNA damage (for example, ras oncogene mutation) is lost. If a cell becomes homozygous for the mutant allele, that is ‘loses heterozygosity’, cancer may develop.
Ref: Shafer's textbook of oral pathology 7th edition page 108